Ca 125 is used for ?-
1. Follow up of ovarian cancer
2. Diagnosis of pancreatic cancer
3. Diagnosis of stomach cancer
4. Diagnosis of ovarian cancer

Correct answer: 1. Follow up of ovarian cancer

Explanation: Harshmohan textbook of pathology 7th edition. CA 125 is a tumor marker of ovarian cancer. Most commonly used for follow up of ovarian cancer. pancreas tumor marker CA 19-9..